A 36 year old woman has noticed, absence of menses for the last 4 months. A pregnancy test is negative. Serum levels of luteinizing hormone and follicle stimulating hormone are elevated and the serum estradiol levels is low. These findings suggest :
1. Bilateral tubal obstruction
2. Polycystic ovarian disease
3. Premature menopause
4. Exogenous estrogen administration

Correct answer: 3. Premature menopause

Explanation: Premature menopause